In general as consequences of tooth loss bone loss is more in mandible; more in posterior region than anterior region;
1. Both statements are true
2. Both statements are false
3. 1st statement is true, 2nd is false
4. 2nd statement is true, 1st is false

Correct answer: 1. Both statements are true